Most common primary cardiac tumor is?
1. Myxoma
2. Rhabdomyosarcoma
3. Fibroma
4. Lipoma

Correct answer: 1. Myxoma

Explanation: Ans. is 'a' i.e., Myxoma * The most common cardiac tumor is metastasis (secondries).* The most common primary cardiac tumor (overall) is cardiac myxoma.* Most common primary cardiac tumor in adults is cardiac myxoma. The most common primary cardiac tumor in infant and children is rhabdomyoma.